Transvestism is -
1. Wearing clothes of opposite sex
2. Touching ones own private parts to others
3. Desire for sexual intercourse with dead bodies
4. Orgasm from visualisation of part of the body of a woman

Correct answer: 1. Wearing clothes of opposite sex

Explanation: Transvestism orEonistn- a transvestite is a person whose whole personality is dominated by the desire to be identified and thought of as a member, of opposite sex. It is usually found in males who obtain sexual pleasure by wearing a female dress.
Fetichism- Fetish is an abnormal stimulus or object of sexual desire. Fetichism means the use of such objects for sexual gratification.
Masochism- sexual gratification is obtained or increased by the suffering or pain on self.
Sadism- sexual gratification is obtained or increased from acts of physical cruelty or infliction of pain upon one's partner.